Sensitivity of a screening test indicates:
1. False positive
2. False negative
3. True negative
4. True positive

Correct answer: 4. True positive

Explanation: Ans. D: True positive